Which is not a feature of tropical eosinophilia -
1. Eosinophilia more than 3000/mm3
2. Microfilaria in tissue
3. Microfilaria in blood
4. Lymphadenopathy

Correct answer: 3. Microfilaria in blood

Explanation: Option 1, 2, 3, 4 Occult filariasis or Tropical pulmonary eosinophilia (TPE): It is also called as Occult Filariasis or Weingaen's Syndrome or Meyers Kouwenaar Syndrome. It is a hypersensitivity reaction against microfilarial antigen of W. bancroftiandBrugia malayMicrofilaria are rapidly cleaned from the blood steam and filtered, lodged and destroyed in lungs initiating allergy response. Hence, microfilaria is not detected in peripheral blood. Common features: nocturnal paroxysmal cough and wheezing, weight loss, low grade fever. perpheral eosinophilia is >3000/mm3 Ocassionally, microfilariae are entrapped in other organs like speen, liver and lymphnodes leading to hepatosplenomagely and lymphadenopathy. This is called as Meyers Kouwenaar Syndrome.